Alcohol dependence is associated with all of the following except
1. Anxiety disorder
2. Dementia
3. Sexual dysfunction
4. Alcohol amotivational syndrome

Correct answer: 4. Alcohol amotivational syndrome

Explanation: Amotivational syndrome is seen with chronic cannabis abuse.